What are the vessels in umbilical cord?
1. 1 artery, 2 veins
2. 2 arteries, 1 vein
3. 1 artery, 1 vein
4. 2 arteries, 2 veins

Correct answer: 2. 2 arteries, 1 vein

Explanation: Ans. B 2 arteries, 1 veinRef: I.B. Singh, 9th ed. pg. 59"Remember 2AV"* Umbilical cord is the structure which connects mother to fetus and acts as a bridge for transfer of blood and other nutrients from mother to baby.* It contains 2 arteries and one vein. Arteries carry deoxygenated blood from fetus to mother while vein carries oxygenated blood from mother towards fetus.* Cord contains Wharton's jelly and the structures embedded in this are:# 2 arteries and 1 vein# Allantois and# Remains of Vitello intestinal duct